All of the following are contraceptive implants except :
1. Norplant
2. Implanon
3. Jadelle
4. Mesigyna

Correct answer: 4. Mesigyna

Explanation: Contraceptive implants are norplant, Implanon and Jadelle. Mesigyna is an injectable contraceptive. TEXTBOOK OF GYNECOLOGY SHEILA BALAKRISHNAN SECOND EDITION PAGE NO 373